Nerve supply of tympanic membrane-a) Auriculotemporalb) Auricular branch of vagusc) Occipital nerved) Great auricular nervee) Glossopharyngeal nerve
1. abe
2. bcd
3. cde
4. acd

Correct answer: 1. abe